Ministry of AYUSH was formed in 2014 for the development of education and research in the field of:
1. Ayurveda and Yoga only
2. Unani and Naturopathy only
3. Siddha and Homeopathy only
4. All of the above

Correct answer: 4. All of the above

Explanation: Ans. (d) All of the above* The Ministry of AYUSH was formed on 9th November 2014 to ensure the optimal development and propagation of AYUSH systems of health care* Earlier it was known as the Department of Indian System of Medicine and Homeopathy (ISM&H)* Renamed as Department of Ayurveda, Yoga and Naturopathy, Unani, Siddha and Homoeopathy (AYUSH) in November 2003* Focused attention for development of Education and Research in Ayurveda, Yoga and Naturopathy, Unani, Siddha and Homoeopathy